Aim of surgery in carcinoma rectum is:
1. Limited excision of the rectum
2. Sacrificing gastrointestinal continuity
3. Preserving the anal sphincter
4. Preserving mesorectum

Correct answer: 3. Preserving the anal sphincter

Explanation: Ans. C: Preserving the anal sphincter Principles of surgical treatment for colorectal cancer: Radical excision of the rectum together with the mesorectum and associated lymph nodes Restore gastrointestinal continuity Preserve continence by preserving the anal sphincter. A sphincter saving operation (anterior resection) is usually possible for tumours whose lower margin is two or more centimeters above the anal canal.